Inhibition of platelet aggregation by ?
1. ADP
2. Thromboxane A2
3. Thrombin
4. Bradykinin

Correct answer: 4. Bradykinin

Explanation: Ans. is 'd' i.e., Bradykinin